X-linked muscular dystrophy is?
1. Myotonic dystrophy
2. Spinal muscular atrophy
3. Neurogenic muscular atrophy
4. Duchene muscular dystrophy

Correct answer: 4. Duchene muscular dystrophy

Explanation: Ans. is 'd' i.e., Duchenne's muscular atrophy X-linked Recessive disordersMusculoskeletalHematologicalImmuneMetabolicNervous* Duchene muscular dystrophy* Chronic granulomatous disease* Hemophilia A & B* G-6-PD deficiency* Agamma - globulinemia* Wiskott - Aldrich synd.* Diabetes insipidus* Lesch Nyhan syndrome* Fragile - X- syndrome* Colour blindnessX-linked dominant disorders* Vitamim D resistant (X-linked hypophosphatemic) Rickets.* Familial hypophosphatemia.* Incontinentia pigmenti.